Example for multipurpose screening.
1. Chest X-ray for Tb on large population
2. Annual health check ups
3. Pap smear in elderly females
4. Eye check up in school children

Correct answer: 2. Annual health check ups